Commonest cause of acute intestinal obstruction is:
1. Adhesions
2. Volvulus
3. Inguinal hernias
4. Internal hernias

Correct answer: 1. Adhesions

Explanation: SMALL BOWEL OBSTRUCTION - Adhesions secondary to previous surgery are the MC cause of SBO. - Causes: Adhesions (60%) > Malignant tumors (20%) >Hernia (10%) > Crohn's disease (5%)Q. - Primary colonic cancers (particularly those arising from the cecum and ascending colon) may present as a SBO.